Which of the following blood vessels will be affected by endothelial cell retraction:
1. Venules
2. Capillaries
3. Arterioles
4. None of the above

Correct answer: 1. Venules